Latanoprost used topically in glaucoma primarily acts by –
1. Decreasing aqueous humour formation
2. Increasing uveoscleral outflow
3. Releasing pupillary block
4. Increasing trabecular outflow

Correct answer: 2. Increasing uveoscleral outflow